Epiphyseal enlargement is seen in -
1. Rickets
2. Hemophilia
3. Septicarthiritis
4. All of the above

Correct answer: 4. All of the above

Explanation: Ans. is 'd' i.e., All of the aboveEpiphyseal enlargemento Most common causes of epiphyseal enlargement are chronic inflammation (e.g. JRA) or chronic increase in blood flow. Causes of Epiphyseal enlargement areSolitary (Enlargement of particular epiphysis)i) Post inflammatory (JRA, Septic arthritis)ii) Perthes disease (in repair stage)iii) Status post hip dislocationiv) Hemophilia (Hemophilic arthropathy)v) Turner syndromevi) Klippel-trenaunay syndrome (angiohypertrophy syndrome)vii) Kascibach - Merritt syndromeviii) Beckwith - Wiedemann syndrome (Hemihypertrophy)ix) Trevor disease (Dysplasia epiphysealis hemimelica)Generalizedi) Hyperthyroidismv) McCune-Albright syndromeii) Acromegaly or cerebral gigantismvi) Kniest syndromeiii) Adrenogenital syndromevi) Ricketsiv) Spondyloepiphyseal dysplasia